Net protein utilization of egg is
1. 96
2. 81
3. 79
4. 45 - 50

Correct answer: 1. 96